Peripheral pulmonic stenosis is associated with -a) Subaortic stenosis b)  Takayasu's arteritisc) William syndromed) Coarctation of syndromee) Rubella
1. ce
2. b
3. ac
4. ae

Correct answer: 1. ce